Poikilocytosis is due to difference in:
1. Size
2. Shape
3. Number
4. Width

Correct answer: 2. Shape

Explanation: Ans: b (Shape) Ref: Harshmohan,ed, p. 336Increase variation in shape of red cell is termed as poikilocytosis. Poikilocytes are produced in various types of abnormal erythropoesis.Eg:Megaloblastic anaemiaIron deficiency anaemiaThalassaemia. MyelosclerosisMicroangiopathic haemolytic anaemiaVariation in size is anisocytosis.